In competetive antagonism
1. Vmax remains same
2. Potency remains same
3. Km decreases
4. Efficacy decreases

Correct answer: 1. Vmax remains same

Explanation: Vmax corresponds to efficacy which remains same in competitive antagonism.
Km corresponds to potency and in competitive antagonism Km increases, potency decreases.